At rest what amount of oxygen is transferred from blood to tissue
1. 250 ml/min
2. 500 ml/min
3. 750 ml/min
4. 1000 ml/min

Correct answer: 1. 250 ml/min

Explanation: At rest the tissues remove about 4.6 mL of O2 from each deciliter of blood passing through them 0.17 mL of this total represents O2 that was in solution in the blood, and the remainder represents O2 that was liberated from hemoglobin. In this way, 250 mL of O2 per minute is transported from the blood to the tissues at rest.